M. avium intracellulare is:
1. Non photochromogens
2. Scotochromogens
3. Photochromogens
4. Rapid growers

Correct answer: 1. Non photochromogens

Explanation: Ans. A: Non photochromogens Runyon Groups * Pigmentation studies - Scotochromogens: Pigmentation in the dark (and light) - Photochromogens: Pigmentation only after exposure to light - Non-photochromogens: No pigment forms Group I: photochromogens - Mycobacterium kansasii - Mycobacterium marinum Group II: scotochromogens - Mycobacterium scrofulaceium - Mycobacterium gordonae Group III: non-photochromogens - Mycobacterium avium complex Group IV: Rapid growers - Mycobacterium fortuitum - Mycobacterium chelonei